Contents of the Cubital fossa are all except
1. Median nerve
2. Bicipital aponeurosis
3. Brachial artery
4. Biceps brachii tendon

Correct answer: 2. Bicipital aponeurosis

Explanation: Contents of the Cubital fossa are: Brachial artery Median nerve Biceps brachii tendon Bicipital aponeurosis forms the roof of the Cubital fossa. Ref: Gray's Anatomy The Anatomical Basics of Clinical Practice 41 e pg 837.